Iritis roseata is seen in:
1. Leprosy
2. Syphilis
3. Tuberculosis
4. Sarcoidosis

Correct answer: 2. Syphilis

Explanation: Ans. Syphilis